Color of granule of actinomycetes-
1. Black
2. Yellow
3. Red
4. Brown

Correct answer: 2. Yellow

Explanation: Sulfur granules in Actinomyces exhibit white to yellow color.